Hemorrhagic fttvr is caused by:
1. West-Mile fever
2. Sandfly fever
3. Ebola virus
4. All of the above

Correct answer: 3. Ebola virus

Explanation: Ans. c. Ebola virus